Ingested lead is mainly eliminated through:
1. Stool
2. Urine
3. Sweat
4. Almost 100% lymphatics in gut

Correct answer: 1. Stool

Explanation: The elimination of the ingested lead is mainly through the feces, reflecting the poor gastrointestinal absorption rate. Ref :